Clomiphene citrate is not known to produce which of the following effects in a young female of 30 years of age (child bearing age group)?
1. Hot flushes
2. Ovulation
3. Decreased FSH and LH secretion
4. Polycystic ovaries

Correct answer: 3. Decreased FSH and LH secretion

Explanation: * Clomiphene citrate is an antagonist of estrogen in the peripheral tissues. Due to this property, it can cause hot flushes. * Due to decreased action of estrogen, feedback pituitary inhibition is blunted resulting in increased secretion of LH and FSH. * It can cause polycystic ovaries and multiple pregnancy (hyperstimulation syndrome).